Which is not seen in Aschoff bodies
1. Giant cells
2. Aschoff cells
3. Fibroblasts
4. Polymorphonuclear cells

Correct answer: 4. Polymorphonuclear cells

Explanation: Ans. is 'd' i.e., Polymorphonuclear cells Aschoff bodies : Aschoff bodies are focal inflammatory lesions seen during acute rheumatic fever They consist of foci of swollen eosinophillic collagen surrounded by Lymphocytes (primarily T cells) Occasional plasma cells Aschoff giant cells (macrophages of rheumatic fever) Antitschkow cells (Antischkow cells are modified macrophages with abundant cytoplasm and central round to ovoid nuclei in which the chromatin is disposed in the central, slender wavy ribbon like pattern-caterpillar cells) Histiocytes Fibroblasts Pathological features of Rheumatic carditis 1. Acute Rheumatic carditis There is diffuse inflammation and aschoff bodies in any of the three layers of heart - Pancarditis - Pericardium - Fibrinous or serofibrinous pericarditis also know as "bread & butter" pericarditis. Pericarditis generally resolve without sequelae. Myocardium - Diffuse non-specific myocarditis with Aschoff bodies.